Coloured halos are seen in all, except –a) Mucopurulent conjunctivitis b) Acute anterior uveitisc) Tetracyclined) Glaucoma
1. bc
2. c
3. ac
4. ad

Correct answer: 1. bc

Explanation: Coloured halos are not seen in acute anterior uveitis and this is one of the differentiating points between acute anterior uveitis and acute angle closure glaucoma
Tetracycline does not cause coloured halos.

Important drugs causing coloured halos

Amiodarone                                                           
Amyl nitrite                                                                            
Chloroquine                                                                 
Chlorpromazine 
Cortisone     
Digoxin 
Fluphenazine  
Hydrocortisone 
Oral contraceptives
 Trimethadione 
Prednisolone
Promethazine
Sildenafil
Triflupromazine
Water (sterile)